Spiral field defect is a feature of:
1. Amblyopia exanopsia
2. Hysterical amblyopia
3. Malingering
4. Toxic amblyopia

Correct answer: 2. Hysterical amblyopia

Explanation: Ans. Hysterical amblyopia